Post pasteurized milk's (pally is tested by-
1. Phosphatase test
2. Methylene blue test
3. Catalase test
4. Oxidase test

Correct answer: 1. Phosphatase test

Explanation: Ans. is 'a' i.e., Phosphatase test